Tectal breaking is seen in
1. Dandy - Walker malformation
2. Arnold - Chiari malformation
3. Aqueductal stenosis
4. Third ventricular tumour

Correct answer: 2. Arnold - Chiari malformation

Explanation: The normal tectum has a rounded or, sometimes, a squared appearance of the colliculi and a short cranial-caudal length. In the Chiari II malformation, variable degrees of fusion of the colliculi and upward deflection of the tectum result in prominent beaking and elongation of the tectum.Arnold Chiari malformation consists of a downward displacement of the cerebellar tonsils through the foramen magnum resulting in obstructive hydrocephalus.Dandy-Walker malformation is characterized by agenesis or hypoplasia of the cerebellar vermis, cystic dilatation of the fourth ventricle, and enlargement of the posterior fossa.